Superantigen includes all, Except
1. TSST
2. Exfoliative toxin
3. Pyrogenic exotoxin
4. Cholera toxin

Correct answer: 4. Cholera toxin

Explanation: Superantigens are certain protein molecules that activate very large number of T cells irrespective of antigenic specificities They bind directly to the lateral aspect of TCR b chain and activate upto 20% of the circulating T cells compared to conventional (0.001%) causing multisystem dysfunction.Examples :Toxic shock syndrome toxinExfoliative toxinStaphylococcal anterotoxinPyrogenic exotoxin